Tropical Splenomegaly is characterized by all the following, except ________
1. Persistent high grade fever
2. Moderate to massive splenomegaly
3. Residence in areas endemic for Malaria
4. Clinical response to antimalarials

Correct answer: 1. Persistent high grade fever

Explanation: Tropical splenomegaly "Big spleen disease"found in adults in certain hyper endemic malarial areas has been shown to be related to an abnormal immune response to plasmodial antigen features hepatomegaly anemia leucopenia massive splenomegaly increased serum IgM concentrations. continuous malaria chemoprophylaxis over many months cause a gradual reduction in the spleen size and clinical improvement Ref : PARASITOLOGY, K.D.CHATTERJEE,13 TH edition, Pg no:117